Within the RBC, hypoxia stimulates glycolysis by which of the following regulating pathways ?
1. Hypoxia stimulates pyruvate dehydrogenase by increased 2,3 DPG
2. Hypoxia inhibits hexokinase
3. Hypoxia stimulates release of all Glycolytic enzymes from band 3 on RBC membrane
4. Activation of the regulatory enzymes by high pH

Correct answer: 3. Hypoxia stimulates release of all Glycolytic enzymes from band 3 on RBC membrane